Characteristic lesion of scabies is -
1. Burrow
2. Fissure
3. Vesicle
4. Papule

Correct answer: 1. Burrow

Explanation: SCABIES:-Caused by Sarcoptes scabiei var hominis.Clinical features:Itching- generalised, worse at night.this is due to delayed type 4 hypersensitivity reaction. Classic lesion: Burrow-Thread like wavy tunnel in stratum corneum.They appear as serpiginous or S shaped greyish,thread like elevations with a vesicle at one end indicating the presence of mite.seen at interdigital web, feet areola,scrotum. Burrows are pathognomic of scabies. iadvl textbook of dermatology page429